Autosomal recessive disease have incidence of 1/ 250000 in a population. What is the carrier state of population?
1. 1\/250
2. 1\/500
3. 1\/1000
4. 1\/5000

Correct answer: 1. 1\/250

Explanation: .incidence is calculated as the total number new cases in a given time period divided by population at risk during that period.multiplied by 1000.so here total no of carrier states is given by 1divided by 250000 multiplied by 1000,that is 1/250. ref:park's textbook,ed 22,pg no 58